Which one of the following is not true for an a-helix:
1. It is one of the most important secondary structure
2. It has a net dipole moment
3. All hydrogen bonds are aligned in the same direction
4. Long stretches of left handed a-helices occur in proteins

Correct answer: 4. Long stretches of left handed a-helices occur in proteins

Explanation: D i.e. Long stretches of left handed a- helices occur in proteins